All are true regarding axillary lymph nodes except?
1. Posterior group lies along subscapular vessels
2. Lateral group lies along lateral thoracic vessels
3. Apical group lies along axillary vessels
4. Apical group is terminal lymph nodes

Correct answer: 2. Lateral group lies along lateral thoracic vessels

Explanation: Ans. is 'b' i.e., Lateral group lies along lateral thoracic vesselsAxillary lymph nodes The axillary lymph nodes are divided into 5 groups :?Anterior (pectoral) group :- Lie along lateral thoracic vessels, i.e. along the lateral border of pectoralis minor. They receive lymph from upper half of the anterior wall of trunk and from major part of breast.Posterior (scapular) group :- Lie along the Subscapular vessels. They receive lymph from the upper half of the posterior wall of trunk and axillary tail.Lateral group :- Lie along the upper part of the humerus, medial to the axillary vein. They receive lymph from upper limb.Central group :- Lie in the fat of the upper axilla. The receive lymph from the preceding groups and drain into apical group. The intercostobrachial nerve is closely related to them.Apical (infraclavicular) group :- Lie deep to the clavipectoral fascia along the axillary vessels. They receive lymph from central group, upper part of breast and the thumb and its web. These are called terminal group of lymph nodes, as they receive lymphatics from other nodes of breast.